Left sided superior vena cava drains into?
1. Right Atrium
2. Left Atrium
3. Coronary Sinus
4. Pericardial Space

Correct answer: 3. Coronary Sinus

Explanation: Left Superior Vena Cava drains directly into the coronary sinus and by way of the coronary sinus into the right atrium. Left SVC thus, drains into both, the coronary sinus and the right atrium.